A 40-year-old woman is brought by her husband for complaint of abnormal behavior. During the interview, she laughs and cries with a very short period of time spontaneously. Her affect is best described as?
1. Apathy
2. Blunted affect
3. Euthymic affect
4. Labile affect

Correct answer: 4. Labile affect

Explanation: Labile affect Labile mood Sudden alterations in emotional responses, not related to environmental events Alternates between euphoric and dysphoric moods Apathy: Lack of concern Blunted affect: Greatly decreased display of emotional responses Euthymic: Normal mood, with no significant depression or elevation of mood